Sweating is not present in -
1. Heat Syncope
2. Heat Cramp
3. Heat Stroke
4. Heat fatigue

Correct answer: 3. Heat Stroke

Explanation: The Essentials Forensic Medicine & Toxicology Dr.K.S. Narayana Reddy 32nd edition pg no303 & 304 Heat Hyperpyrexia or Heat Stroke : A fever above 41.5oC and neurological disturbances such as psychosis ,delirium.stupor,coma and convulsions. the term thermic feveror sun stroke is used when there has been directed exposure to sun principle: high temperature ,increased humidity ,minor infections ,muscular activity and lack of acclimatisation. where there is 100% humidity , a temperature of 32oC in the environmentmay leads to heat stroke.failure of cutaneous blood flow and sweating ,the factors which control body temperatureleads to the breakdown of the heat regulating centres of the hypothalamus . in the classic form sweating is usually absent